The net protein utilization of rice is –
1. 20%
2. 40%
3. 63%
4. 81%

Correct answer: 3. 63%